The cells of the enamel organ which differentiate into future ameloblasts are
1. Cells of inner enamel epithelium
2. Cells of outer enamel epithelium
3. Cells of stellate reticulum
4. Cells of stratum intermedium

Correct answer: 1. Cells of inner enamel epithelium

Explanation: Fate of various cells in enamel organ: 

Inner enamel epithelium — differentiate into ameloblasts
Stellate reticulum — collapses and does not exist
Outer enamel epithelium — cells flattens and thrown into folds.